Cephalic index helps in identification of:
1. Race
2. Stature
3. Sex
4. Weight

Correct answer: 1. Race

Explanation: From measuring cephalic index, race can be determined in 85-90% of cases. Mainly three types of races are there: Caucasian (white): Skull rounded, orbits triangular, nasal aperture elongated, palate triangular, upper and lower limbs normal in proportion to body. Mongolian (yellow): Skull square, orbits rounded, nasal aperture rounded, palate rounded, upper and lower limbs smaller. Negro (black): Skull narrow and elongated, orbits square, nasal aperture broad, palate rectangular, upper and lower limbs longer. Ref: Essentials of Forensic Medicine and Toxicology by Narayan Reddy, 27th edition, Page 53.